Enzymes involved in Base-excision repair are:-
1. DNA helicase II
2. ABC excinuclease
3. DNA polymerase I
4. DNA photolyase

Correct answer: 3. DNA polymerase I

Explanation: Type Proteins & Enzymes involved Mismatch repair Dam methylase MutH, MutL, MutS proteins DNA helicase II DNA polymerase III DNA ligase Base-excision repair DNA glycosylases AP endonucleases DNA polymerase I DNA ligase Nucleotide-Excision repair Helicase DNA polymerase I DNA ligase ABC excinuclease Direct repair (Photoreactivation) DNA photolyase